Which of the following describes Satyriasis?
1. Decreased sexual drive in male
2. Increased sexual drive in male
3. Decreased sexual drive in female
4. Increased sexual drive in female

Correct answer: 2. Increased sexual drive in male

Explanation: Ans. B. Increased sexual drive in male* Nymphomaniac: excessive sexual desire in females.* Satyriasis: excessive sexual desire in males